Which of the following statements is true regarding the pituitary gland -a) It is separated from the optic chiasma by the sella turcicab) It is situated deep in the sellac) The sphenoidal air cells lie inferior to itd) It develops from the base of the 3rd ventricle form the pars anteriore) It is supplied by a branch of the internal carotid artery
1. ab
2. bc
3. bce
4. ace

Correct answer: 3. bce

Explanation: Pituitary is situated into sella turcica.
Optic chiasma is superior to pituitary.
Sphenoidal air sinuses are inferior to pituitary.
Pituitary is supplied by a single inferior hypophyseal artery and several superior hypophyseal arteries. These hypophyseal arteries are branches of internal carotid artery.
Evagination of floor of 3rd ventricle (diancephalon) in region of infundibulum forms posterior pituitary (pars posterior) and not pars anterior.